Atrial fibrillation may occur in all the following conditions, except-
1. Mitral stenosis
2. Hypothyroidism
3. Dilated cardiomyopathy
4. Mitral regurgitation

Correct answer: 2. Hypothyroidism

Explanation: Answer is B (Hypothroidism) Atrial Fibrillation is associated with hyperthyroidism and not hypothyroidism Important causes of Atrial Fibrillation Cardiovascular causes of Atrial Fibrillation Rheumatic Heart disease (Includes mitral stenosis and mitral regurgitation) Non Rheumatic Mitral valve disease Chronic Hypertension Cardiomyopathy Myocarditis Pericarditis Congenital Heart Disease (eg ASD) Coronary Heart Disease Other Systemic Causes of AF Hypehroidism Pulmonary embolism Hypoxia Excess consumption of alcohol (Also alcohol withdraw) Excess consumption of Caffeine May be seen in normal individuals Particularly during emotional stress or following surgery, exercise or prominent surge of vagal tone (vasovagal response) AF often develops in patients with heart or lung disease who develop hypoxia, hypercapria or metabolic or hemodynamic derangements Holiday Heart Syndrome: In predisposed individuals, AF may be precipitated by consumption of even small amounts of alcohol. This is called Holiday Syndrome and is usually transient and self limited